Which of the following drug must always be available for emergency use in labour ward if a patient on opoid analgesia?
1. Fentanyl
2. Naloxone
3. Morphine
4. Bupivacaine

Correct answer: 2. Naloxone

Explanation: Opoids are used during labor for analgesia. It may cause newborn respiratory depression. Naloxane is a narcotic antagonist capable of reversing this respiratory depression